A patient has a right homonymous hemianopia with saccadic pursuit movements and defective optokinetic nystagmus. The lesion is most likely to be in the :
1. Frontial lobe
2. Occipital lobe
3. Parietal lobe
4. Temporal lobe

Correct answer: 3. Parietal lobe

Explanation: Ans. Parietal lobe